Fetal hemoglobin contains
1. a 2, ss 2
2. a 2, d 2
3. a 2, g 2
4. None

Correct answer: 3. a 2, g 2

Explanation: The blood of the human fetus normally contains fetal hemoglobin (hemoglobin F). Its structure is similar to that of hemoglobin A except that the b chains are replaced by g chains; that is, hemoglobin F is a2g2. The g chains have 37 amino acid residues that differ from those in the b chain. Fetal hemoglobin is normally replaced by adult hemoglobin soon after bihRef: Ganong's Review of medical physiology 25th edition. Page: 557